A young man develops gross heamaturia 3 days after an attack of URTI; likely renal pathology is:
1. Acute glomerulonephritis
2. Minimal change disease
3. IgA nephropathy
4. Membranous glomerulonephritis

Correct answer: 3. IgA nephropathy

Explanation: Answer is C (IgA Nephropathy) While, IgA Nephrapathy presents within three days, presentation of poststreptococcal GN is usually delayed to more than 10 days. As the patient here presents within 3 days diagnosis is IgA nephropathy. Read the following two text facts very carefully IgA Nephropathy: The disease affects children and young adults. Patients with IgA nephropathy typically present with gross haematura, often 24 to 48 hrs. after a Pharyngeal or gastrointestinal infection, vaccination or strenous exercise. -Harrison 16th/1690 Poststreptococcal GN : Most commonly encountered in children 2 to 6 years old. Glomerulonephritis develops on average 10 days after pharangitis and two weeks after a skin infection with a nephritogenic strain of gp. A Haemolytic streptococci. Those with overt disease present with gross haematuria (red or smokes urine) headache and generalise symptoms such as anorexia, nausea, vomiting, malaise. - Harrison 16th/1680 The crux of it is : Both are common in children Both may present after upper respiratory tract infection. Both present with gross haematuria, 'But while, IgA Nephropathy presents within three days, presentation of poststraptococcal GLN is usually delayed to more than 10 days'.